Most Commmon cause of chronic osteomyelitis ?
1. Staphylococcus aureus
2. Streptococcus pyogenes
3. Mycobacterium tuberculosis
4. Staphylococcus epidermidis

Correct answer: 1. Staphylococcus aureus

Explanation: Ans. is 'a' i.e., Staphylococcus aureus Chronic osteomyelitis is nearly always a sequel to acute osteomyelitis. Occasionally infection is subacute or chronic from the begining. As with acute osteomyelitis, the most common causative organism is staphylococcus areus.